Which of the following is treatment of Type I hypersensitivity -
1. Histamine
2. IgA immunoglobulin
3. Sodium cromoglycate
4. Interleukin 5

Correct answer: 3. Sodium cromoglycate